True about juvenile respiratory papillomatosis:
1. Affects children commonly
2. Lower respiratroy tract can be involved
3. May resolve spontaneously
4. All

Correct answer: 4. All

Explanation: Juvenile respiratory papillomatosis: Affects children commonly, Lower respiratory tract can be involved - though larynx is the M/C site affected - Mouth, pharynx, tracheobronchial tree and oesophagus can all be affected May resolve spontaneously Micro laryngoscopic surgery is the Treatment of choice CO, laser surgery, which is a form of microlaryngoscopic surgery is the Treatment of choice